All of the following drugs are used asimmunosuppressants except aEUR'
1. Glucocorticoids
2. Cyclosporin
3. Cephalosporin
4. Azathioprine

Correct answer: 3. Cephalosporin

Explanation: Cephalosporin Immunosuppressant drugs:- These are drugs which inhibit cellular / humoral or both immune response. They have their major use in organ transplantation and autoimmune disease. These drugs are :